Inferior olivary nucleus is present in
1. Base of pons
2. Midbrain, at level of superior colliculus
3. Midbrain, at level of inferior colliculus
4. Lateral medulla

Correct answer: 4. Lateral medulla

Explanation: The inferior olivary nucleus, a cerebellar relay nucleus, is the most prominent nucleus in the lateral medulla. Coordinate signals from the spinal cord to the cerebellum to regulate motor coordination and learning. fig:- crossection at the level of medulla(upper part)